Deposition of anti ds DNA Ab in kidney, skin, choroid plexus and joints is seen
1. SLE
2. Good pasture
3. Scleroderma
4. Raynauds disease

Correct answer: 1. SLE

Explanation: Ref - Harrison's internal medicine 20e p2517